Which of the following statements about Nutritional surveillance is not true –
1. It is a diagnostic approach
2. Assessment involves precise measurements of weight and height
3. Assessment is done by trained persons
4. Done in all children < 5 years

Correct answer: 4. Done in all children < 5 years